With indirect spruing, which one of the following porosities can be minimised
1. Back pressure porosity
2. localized shrinkage porosity
3. Pin hole porosity
4. Micro porosity

Correct answer: 2. localized shrinkage porosity